Brain death indicated by suppression of reflexes all except -
1. Oculovestibular
2. Corneal
3. Pharyngeal
4. Patellar tendon

Correct answer: 4. Patellar tendon

Explanation: Irreversible coma with abolition of CNS activity in brain death is evidenced by absence of pupillary, corneal, oculovestibular and pharyngeal reflexes. Dr. Narayana Reddys Synopsis of Forensic Medicine & Toxicology 27th edition pg.66,67